Alpha adrenergic agonists are used in combination
with Local anesthetics to
1. increase the rate of liver metabolism of local anesthetic
2. increase the concentration of L.A at receptor site
3. stimulate myocardial contraction
4. increases vascular absorption of L.A

Correct answer: 2. increase the concentration of L.A at receptor site